Circulus arteriosus is formed by
1. Anterior communicating artery.
2. Basilar artery.
3. Anterior, posterior cerebral and posterior communicating artery.
4. All of the above.

Correct answer: 4. All of the above.

Explanation: Circulus arteriosus or "circle of Willis" is a anatomical peculiarity of cerebral arteries.
It is formed by
• Anteriorly by anterior communicating artery.
• Posteriorly by basilar artery.
• On each side by anterior cerebral, posterior cerebral, posterior communicating and internal carotid arteries.